Nootropic drug
1. Rivastigmine
2. Tacrine
3. Amantadine
4. Piracetam

Correct answer: 4. Piracetam

Explanation: Ans. d (Piracetam). (Ref. KD Tripathi, Pharmacology, 4th ed., 481)CEREBROACTIVE DRUGS (COGNITION ENHANCERS)1NootropicPiracetam2Metabolic enhancerDihydrergotaxine,Nicergoline,Piribedil3Cholinergic activatorTacrine4Vasoactive cerebral protectorsPyritinol, Ginko biloba.Educational Points:DRUGUsed in Rx of:Newer cholinesterase inhibitors (Donepezil, Revastigmine, Galantamine) & Mementine (NMDA antagonist)Alzheimer's diseaseRiluzoleAmyotropic lateral sclerosisD2 receptor blockers (Chlorpromazine, haloperidol)Huntington's choreab-IFN, Glatiramer & NatalizumabMultiple sclerosisTemozolomide, an orally administered alkylating agent, has replaced nitrosureas, including carmustine (BCNU) and lomustine (CCNU), as the most widely used chemotherapeutic agent for :High-grade gliomas.